Laryngocele arises as herniation of laryngeal mucosa through the following membrane
1. Cricotracheal
2. Crisosternal
3. Cricothyroid
4. Thyrohyoid

Correct answer: 4. Thyrohyoid

Explanation: Laryngocele Laryngocele is an air-filled cystic swelling which occurs due to dilatation of saccule. Saccule is a diverticulum arising from anterior part of ventricle/sinus of larynx. External laryngocele is one in which distended saccule herniates through the thyrohyoid membrane and presents as a reducible swelling in the neck, which increases in size on coughing or performing Valsalva. Ref:- Mohan Bansal; pg num:-487